IPC code related to age for valid consent is ?
1. 85
2. 86
3. 87
4. 88

Correct answer: 3. 87

Explanation: Ans. is 'c' i.e., 87Section 87 of the IPC says that a person above 18 years of age can give valid consent and Section 89 of the IPC says that a child under 12 years of age cannot give a valid consent.